A two year old male child was given 8 days of cefaclor of a 10 days course. The child develops low grade fever, malaise lymphadenopathy, irritability, generalized erythematous rash which are mildly pruritic. Most probable diagnosis is
1. Kawasaki disease
2. Partially treated meningitis
3. Infectious mononucleosis
4. Type 3 hypersensitivity

Correct answer: 4. Type 3 hypersensitivity

Explanation: Type 3 hypersensitivity (Repeat)